All of the following are anti-pseudomonal EXCEPT:
1. Piperacillin
2. Cefoperazone
3. Ceftazidime
4. Cefadroxil

Correct answer: 4. Cefadroxil

Explanation: Ans. D i.e. Cefadroxil Spectrum of Cefadroxil Good gram (+)ve (Streptococcus pyogenes (GAS), Staphylococcus) Gram (-)ve (Proteus, E. coli, Klebsiella)